Enzyme specific for gluconeogenesis -
1. Glucose-6-phosphatase
2. Aldolase
3. Phosphoglycerate kinase
4. Phosphoglycerate mutase

Correct answer: 1. Glucose-6-phosphatase

Explanation: Ans. is 'a' i.e., Glucose-6-phosphatase Enzyme in gluconeogenesiso Seven of the reactions of glycolysis are reversible and are used in the synthesis of glucose by gluconeogenesis. Thus, seven enzymes are common to both glycolysis and gluconeogenesis: (i) Phosphohexose isomerase; (ii) Aldolase; (iii) Phosphotriose isomerase; (iv) Glyceraldehyde 3-phosphate dehydrogenase; (v) Phosphoglycerate kinase; (vi) Phosphoglycerate mutase; (vii) Enolase.o Three of the reactions of glycolysis are irreversible and must be circumvented by four special reactions which are unique to gluconeogenesis and catalyzed by : (i) Pyruvate carboxylase, (ii) PEP carboxykinase, (iii) Fructose-1,6- bisphosphatase, (iv) Glucose-6-phosphatase.